All are inhabitants of Liver except -
1. F. Hepatica
2. F. Buski
3. Clonorchis sinensis
4. Opisthorchis felincus

Correct answer: 2. F. Buski

Explanation: The common name for Fasciolopsis buski is the large or giant intestinal fluke.It is the largest trematode infecting humans.Pig serves as reservoir of infection for man. ( refer pgno: 127 baveja 3 rd edition)